Not included in cerebellar nuclei
1. Dentate nuclei
2. Emboliform nuclei
3. Fastigial nuclei
4. Caudate nuclei

Correct answer: 4. Caudate nuclei

Explanation: There are 4 deep nuclei in cerebellum: dentate, globose, emboliform, & fastigial nuclei. Ref: Ganong's review of medical physiology; 23rd edition; pg:255